Squamous cell carcinoma marker is-
1. Vimentin
2. Cytokeratin
3. Desmin
4. Myogenin

Correct answer: 2. Cytokeratin

Explanation: Harshmohan textbook of pathology 7th edition. *epithelial tumor : immunostains used are pankeratin,epithelial membrane antigen,carcinoembrionic antigen,neuron specific enolase. *mesenchymal tumors: immunostains used are vimentin,desmin,muscle specific actin.